Ramsay Hunt syndrome is caused by -
1. H. simplex
2. H.zoster
3. Influenza
4. Adenovirus

Correct answer: 2. H.zoster

Explanation: It is lower motor neuron type of facial palsy due to Varicella (herpes) zoster.